The following are contraindications to beta-blockers except ( REPEAT)
1. Bradycardia
2. Tachycardia
3. Bronchial asthma
4. Raynaud's disease

Correct answer: 2. Tachycardia

Explanation: Beta blockers are used In the treatment of tachycardia as they are sympatholytics.